What is known as 'poor man's meat'-
1. Milk
2. Pulses
3. Fish
4. egg

Correct answer: 2. Pulses

Explanation: Pulses are called poor man's meat. They are rich in protein. REF. PARK'S TEXTBOOK OF PREVENTIVE AND SOCIAL MEDICAL 21ST EDITION. PAGE NO - 628